Oblique cord is the modification of
1. Flexor pollicis Longus
2. Flexor Pollicis Brevis
3. Supinator
4. Pronator Teres

Correct answer: 1. Flexor pollicis Longus

Explanation: After birth, the proximal parts of the flexor digitorum profundus and flexor pollicis Longus FPL muscles were likely replaced by collagenous tissues, providing a specific type of intermuscular septum i.e., the oblique cord. Reference: Vishram Singh Anatomy; 2nd edition; Page no: 134